Glycolytic enzymes inhibited by fluoride
1. Hexokinase
2. Aldolase
3. Enolase
4. All of the above

Correct answer: 3. Enolase